Which one of the following is an example of Motor Neuropathy?
1. Sjogrens syndrome
2. Dapsone neuropathy
3. Tangiers disease
4. Amyloidosis

Correct answer: 2. Dapsone neuropathy

Explanation: (B) Dapsone neuropathy NEUROPATHIESPredominantly MotorPure Sensory1. Guillain-Barre syndrome2. Diphtheric neuropathy3. Dapsone-induced neuropathy4. Porphyria5. Lead neuropathy6. Vincristine neuropathy7. Multifocal motor neuropathy.1. Paraneoplastic syndromes2. Autoimmune disorders (Sjogren's syndrome)3. Vitamin E deficiency4. Vitamin B12 deficiency5. Cis-platinum neuropathy6. Pyridoxine toxicity7. Idiopathic sensory neuropathy8. Hereditary sensory neuropathy9. Friedreich's ataxia10. Bassen-Kornzweig disease